CD 99 is for
1. Ewings sarcoma
2. SLL
3. Dermatofibroma protuberans
4. Malignant Histiocytic fibroma

Correct answer: 1. Ewings sarcoma

Explanation: Refer Harrison 17th/613